True about hepatitis A include -a) Virus is destroyed by boiling for 5 minutesb) Spreads by faco-oral routec) Predisposes to cirrhosisd) IgG anti-HIV antibodies used for diagnosis
1. ab
2. a
3. ad
4. bc

Correct answer: 1. ab